The most common site of the leak in CSF rhinorrhea is
1. Sphenoid sinus
2. Frontal sinus
3. Cribriform plate
4. Tegmen tympani

Correct answer: 3. Cribriform plate

Explanation: CSF rhinorrhea- Commonest site- Lateral lamella of cribriform plate of the ethmoidOther sites- Roof of ethmoids, posterior wall of the frontal sinus, Sphenoid sinusThe commonest cause of CSF rhinorrhoea- Iatrogenic TraumaRef: Hazarika; 3rd ed; Pg 361